Position of fetus definition
1. Vertex presentation before delivery
2. Breech presentation before delivery
3. Orientation of foetus in relation to pelvis before delivery
4. Orientation of womb in relation to pelvis before delivery

Correct answer: 3. Orientation of foetus in relation to pelvis before delivery

Explanation: (C) Oreientation of foetus in relation to pelvis before delivary# In obstetrics, position is the orientation of the fetus in the womb, identified by the location of the presenting part of the fetus relative to the pelvis of the mother. It is the position assumed by the fetus before the process of birth.